Tibial fracture with >1 cm wound, slight conjunction and moderate crushing is -
1. Grade I
2. Grade II
3. Grade III A
4. Grade III B

Correct answer: 2. Grade II

Explanation: Compound fracture

Compound fracture also called open fracture, in which fracture communicates with the external environment, i.e., overlying soft tissue coverage (skin and muscles) is breached.
Open fractures are typically caused by high energy injuries such as car crashes, falls, or sports injuries.
Gustila and Anderson classified open fracture into following types.